In respiratory and GIT infections, which is the most affected immunoglulin -
1. IgA
2. IgG
3. IgM
4. IgD

Correct answer: 1. IgA

Explanation: Immunoglobulin A is an antibody that plays a critical role in immune function in the mucous membranes. More IgA is produced in mucosal linings than all other types of antibody combined Ref: Ananthanarayan & Parker's textbook of microbiology 9th edition pg:97-98